Increased T4 seen in -a) Hyperparathyroidismb) X-linked TBG deficiencyc) Familial dysalbuminemic hyperthyroxinemiad) Low T3 syndromee) Pregnancy
1. a
2. ce
3. ac
4. ae

Correct answer: 2. ce